Preferred Approach for Pericardiocentesis is:
1. Sub-xiphoid
2. Left Parasternal
3. Right Parasternal
4. Apical

Correct answer: 1. Sub-xiphoid

Explanation: Answer is A (Sub-xiphoid) Closed-needle pericardiocentesis the sub-xiphoid is the preferred approach for removal and drainage of a pericardial effusion. The sub-xiphoid approach is preferred, as one can aspirate fluid even in the case of small elliisions. This route is extra-pleural and avoids the coronary, pericardial, and internal mammary arteries. Approaches to Pericardiocentesis 1. Sub-xiphoid Approach (Preferred Approach as this route is extra-pleural and avoids the risk to coronary, pericardial, and internal mammary arteries) 2. Apical Approach (Used when the sub-xiphoid route is not successful or in patients with marked pulmonary hypertension) 3. Parasternal Approach (Left Fifth Intercostal Space and/or Right Fifth Intercostal Space may be utilized; Left Fifth Intercostal Space is utilized more commonly)